For ASOM Myringotomy is done in which quadrant:
1. Antero-inferior
2. Antero-superior
3. Postero-superior
4. Postero-inferior

Correct answer: 4. Postero-inferior

Explanation: (d) Postero-inferior(Ref. Hazarika, 3rd ed., 202)In ASOM myringotomy is done in the postero- inferior quadrant by a curvilinear J-shaped incision.In serous Otitis media myringotomy along with grommet insertion is done in the antero-inferior quadrant by a radial incision.